Which of the following fractures is associated with high mortality and morbidity?
1. Femur shaft fractures
2. Pelviacetabular fractures
3. Subtrochanteric fractures
4. Shaft tibia fractures

Correct answer: 2. Pelviacetabular fractures

Explanation: (Refer: Mohindra’s Fundamentals of Orthopedics, 2nd edition, pg no. 110, 117)
Pelviacetabular factures are associated with high morbidity and mortality because:

They are caused by high velocity injuries
They can have associated compound fractures along
There may be damage to associated pelvic and abdominal organs
There is significant blood loss present usually